Muscles of mastications are derived from -
1. 1st Arch
2. 2nd Arch
3. 3rd Arch
4. 4th Arch

Correct answer: 1. 1st Arch

Explanation: Ans. is 'a' i.e., 1st arch o Special visceral efferent fibers of the glossopharyngeal nerve arise in the nucleus ambiguous and supply the stylopharyngeus muscle.o It is the only muscle supplied by the glossopharyngeal nerve.ArchMuscles of the archNerve of the archIMuscles of mastication (masseter. temporalis, medial and lateral pterygoids, tensor veli palatine, tensor tympani, the mylohyoid.anterior belly of digastric)Mandibular division of trigeminalnMuscles of facial expression, occipitofrontalis, platysma, stapedius, stylohyoid, posterior belly of digastricsFacialmStylopharyngeusGlossopharyngealNCricothyroidConstrictors of the pharynx (3), Levator veli PlatiniExternal laryngeal nerve Vago accessory' complexVIAll other muscles of the larynxRecurrent laryngeal nerve